Tuning fork frequency used MOST commonly in the ENT clinic is likely to be which of the following?
1. 256 Hz
2. 512 Hz
3. 1024 Hz
4. 2048 Hz

Correct answer: 2. 512 Hz

Explanation: Ideally 3 frequencies are used 256 Hz, 512 Hz, and 1024 Hz. These three frequencies are used because they fall within speech frequency range. The most preferred and commonly used is 512 Hz since tuning forks of higher frequency have shorter decay time and those with lower frequency produce a sense of bone vibration. It is a frequency common in human speech.